For a patient of Gastric outlet obstruction, the OPD fluid management is -
1. Normal saline
2. Hypertonic saline
3. Na bicarbonate to counteract aciduria
4. Hypotonic saline without potassium

Correct answer: 1. Normal saline

Explanation: Ans : 'a' i.e. Normal saline About fluid management of patients with gastric outlet obstruction Schwartz & Sabiston writes Acute treatment of hypokalemic alkalosis includes administration of large amounts of sodium chloride-containing solutions (i.e. Normal saline) and once diuresis is established, potassium is added until the serum potassium level is increased. This will also correct the serum bicarbonate level.